False about vagina is :
1. Partly or wholly derived from urogenital sinus
2. Rich in glands
3. Lined by stratified epithelium
4. Posterior fornix longer than anterior fornix

Correct answer: 2. Rich in glands

Explanation: Rich in glands